A forceps rotation of 30deg from left occiput anterior (LOA) to occiput anterior (OA) with extraction of fetus from +2 station
1. High forceps
2. Mid forceps
3. Low forceps
4. Outlet forceps

Correct answer: 3. Low forceps

Explanation: FORCEPS OUTLET FORCEPS Scalp visible at introitus without seperating labia leading point of fetal skull is at the pelvic floor saggital suture in AP diameter or rotation<45 degree LOW FORCEPS leading point of fetal skull is at station +2cm or below,not on pelvic floor rotation not more than 45 degree MIDCAVITY FORCEPS fetal head 1/5 palpable per abdomen head engaged but station above +2cm rotation>45 degree HIGH FORCEPS never done TEXTBOOK OF OBSTETRICS,SHEILA BALAKRISHNAN,pg no:443,2nd edition